Which of the following H2 blocker also have Anticholinesterase property
1. Famotidine
2. Nizatidine
3. Cimetidine
4. Loxatidine

Correct answer: 2. Nizatidine

Explanation: Niizatidine is a H2 blocker with additional anticholineterase activity. Therefore it enhances gastric emplying and also cause bradycardia.